Bruise attains greenish discoloration by:
1. 1 day
2. 2-3 days
3. 5-6 days
4. 7-12 days

Correct answer: 3. 5-6 days

Explanation: Ans. C i.e. 5-6 days